Down-regulation is
1. Increased destruction of a hormone
2. Feed back inhibition of hormone secretion
3. Decreased concentration of a hormone in blood
4. Decrease in number of receptors for a hormone

Correct answer: 4. Decrease in number of receptors for a hormone

Explanation: Downregulation: An decrease in the number of receptors on the surface of target cells, making the cells less sensitive to a hormone or another agent Downregulation of receptors happens when receptors have been chronically exposed to an excessive amount of hormone Ref : Biochemistry by U. Satyanarayana 3rd edition Pgno : 428